A patient presents with respiratory symptoms i.e. cough, hemoptysis and glomerulonephritis. His c-ANCA level in serum was found to be raised. The most likely diagnosis is:
1. Goodpasteur's syndrome
2. Classic polyarteritis nodosa
3. Wegner's granulomatosis
4. Kawasaki syndrome

Correct answer: 3. Wegner's granulomatosis

Explanation: The major hint here is ANCA positivity. ANCA associated vasculitis includes: Vasculitis without asthma or granulomas (microscopic polyangiitis) Granulomas, no asthma (Wegener granulomatosis) Eosinophilia, asthma, and granulomas (Chrug-Strauss syndrome) ANCA Circulating antibodies that react with neutrophil cytoplasmic antigens, so-called antineutrophil cytoplasmic antibodies (ANCAs) These were previously grouped according to the intracellular distribution of the target antigens (cyto-plasmic or perinuclear ), but are now classified according to their antigen specificity: Anti-proteinase-3 (PR3-ANCA, previously c-ANCA) Anti-myeloperoxidase (MPO-ANCA, previously p-ANCA).